Transition from increased prevalence of infectious pandemic diseases to man made disease is known as
1. Paradoxical transition
2. Reversal of transition
3. Epidemiological transition
4. Demographic transition

Correct answer: 3. Epidemiological transition